Which one of the following is TRUE about amoebic meningoencephalitis?
1. Only found in tropical countries
2. Trophozoites are found in the CSF
3. Transmission is by feco-oral route
4. Acute condition is caused by Acanthamoeba

Correct answer: 2. Trophozoites are found in the CSF

Explanation: (B) Trophozoites are found in the CSF> Amebic meningoencephalitis is mainly caused by the free-living ameba of the genera Acanthamoeba, Naegleria, and Balamuthia which are distributed throughout the world.> Naegleria infection--primary amoebic meningoencephalitis is caused by N. fowled followed the aspiration of water contaminated by trophozoites or cysts or the inhalation of the contaminated dust, leading to invasion of the olfactory neuroepithelium.> Diagnosis depends upon detection of motile trophozoites on wet mount of fresh spinal fluid.> Infection is most common in otherwise healthy children or young adults, who often report recent swimming in lakes and swimming pool.> Acanthamoeba infection--typically occurs in chronically ill or debilitated patients; the onset is insidious and the syndrome often mimics a space occupying lesion.> Examination of the CSF for trophozoites may be diagnostically helpful, but lumber puncture is contraindicated because of increased ICP.> Balamuthia--it is an etiological agent of amebic meningoencephalitis in immunocompetent patients. Diagnosis is made after postmortem.